Which of following are features of Klippel- Trenaunay syndrome: 1. Varicose veins 2. Cutaneous bihmark 3. Limb hypertrophy 4. Deep veins are often anomalous 5. Saphenous vein striping can be hazardous
1. 1,2,3,4 true & 5 false
2. 1,2,3,5 true & 4 false
3. 1,3,5 true & 2,4 false
4. All are true

Correct answer: 4. All are true

Explanation: Klippel- Trenaunay syndrome: If extensive varicose veins are encountered in young patient, especially if unilateral and an atypical distribution (lateral leg), Klippel- trenaunay syndrome must be considered. The classic triad is varicose vein, limb hypertrophy, and a cutaneous bihmark (portwine stain or venous malformation). Because the deep veins are often anomalous or absent, saphenous vein striping can be hazardous. Standard treatment for patients with Klippel- Trenaunay syndrome is gradual support stockings, limited stab avulsion of symptomatic varices after thorough duplex ultrasound vein mapping, and occasional surgery for correction of limb length discrepancy". Ref: CSDT 11/e, page 884